Shivering is most commonly seen with use of –
1. Halothane
2. Cyclopropane
3. Ether
4. Thiopentone

Correct answer: 1. Halothane

Explanation: Halothane is the most common inhalational agent which is associated with post-operative shivering (Halothane shakes).